Mallory bodies contain
1. Vimentin
2. Cytokeratin
3. Keratin
4. Collagen

Correct answer: 2. Cytokeratin

Explanation: Refer Robbins page no 843 Mallory bodies are visible as Eosinophilic cytoplasmic clumps in Hepatocytes. They are composed of tangled skeins of Cytokeratin intermediate filaments such as Cytokeratin 8 and 18 in complex with other proteins such as ubiquitin